What is the length of external auditory canal?
1. 2.5 cm
2. 1.5 cm
3. 1cm
4. 2 cm

Correct answer: 1. 2.5 cm

Explanation: Ans. (a) 2.5 cmRefi Dhingra's ENT 5th ed. / 4* Length of external auditory canal- 24 mm (2.4cm)* Shape: S- shaped* Outer 1/3rd cartilaginous part (8mm)* Inner 2/3rd: Bony part (16mm)